Procedure of choice in a woman with 12 weeks pregnancy and atypical pap smear is :
1. Cone biopsy
2. MTP with cone biopsy
3. Hysterectomy
4. Colposcopy

Correct answer: 4. Colposcopy

Explanation: If a cervical smear shows evidences of CIN, colposcopy is indicated. Sometimes colposcopic biopsies may be indicated but definitive treatment us postponed to 6 weeks after delivery. Refer page no 224 of Text book of obsteics,sheila balakrishnan,2 nd edition.